All of the following are storage proteins, except?
1. Ovalbumin
2. Ricin
3. Ferritin
4. Glutelin

Correct answer: 2. Ricin

Explanation: Storage proteins are reserves of metal ions and amino acids. Found in plant seeds, egg whites and milk. Storage proteins are ovalbumin and glutelin. Ricin is a phytotoxin.